Which of the following is a DNA virus
1. Hepatitis A virus
2. Hepatitis B virus
3. Hepatitis C virus
4. Hepatitis D virus

Correct answer: 2. Hepatitis B virus